All the following are biological tests for pregnancy, EXCEPT:
1. Gall - Mainini test
2. Friedman test
3. Inhibition latex slide test
4. Hogben test

Correct answer: 3. Inhibition latex slide test

Explanation: The biological tests for pregnancy are: 1) Aschheim - Zondek test 2) Rapid rat test 3) Friedman test 4) Hogben or Female toad test 5) Male frog test 6) Galli - Mainini test Alo know: Indirect and direct latex slide tests are immunological tests. Ref: Textbook of Forensic Medicine and Toxicology by Narayan Reddy, Edition 21, Page - 332, 333